As a general rule in borderline crowding cases of a broad facial type:
1. An expansion treatment should be carried out
2. Extraction therapy, should be considered
3. No treatment required
4. Only surgical treatment required

Correct answer: 1. An expansion treatment should be carried out

Explanation: Key comment:
In broad face type(brachycephalic) patient with mild crowding, if expansion is possible, it is the first line of treatment of choice rather than extraction.